According to WHO, membranous glomerulo-nephritis seen in SLE, is -
1. Class II
2. Class III
3. Class IV
4. Class V

Correct answer: 4. Class V

Explanation: harshmohan textbook of pathology 7th edition. *class 1-minimal disease lupus nephritis seen in <5%of cases . *class 2-essential proliferative lupus nephritis seen in 10 to 25% of cases. *class 3- focal lupus nephritis seen in 20 to 35% of cases. *class 4-diffuse lupus nephritis seen in 35 to 60 %of cases. *class 5-membranous lupus nephritis -10 to 15 % of cases . *class 6-advanced sclerotic lupus nephritis.